The muscles acting upon the temporomandibular joint for various actions are given below, EXCEPT:
1. Temporalis muscle
2. Occipitofrontalis
3. Masseter muscle
4. Medial pterygoid muscle

Correct answer: 2. Occipitofrontalis

Explanation: The muscles acting upon the TMJ are primarily the muscles that generate the various movements associated with chewing; hence, these muscles are often called the muscles of mastication.Temporalis muscle: The temporalis muscle elevates the mandible.Masseter muscle: It elevates the mandible. It works functionally with the temporalis and pterygoid muscles to move the mandible at the TMJ, it is a muscle of mastication.Lateral pterygoid muscle: Contraction causes the mandibular condyle and the articular disc to move anteriorly, resulting in both protraction and depression of the mandible. It works synergistically with the medial pterygoid muscle to move the mandible from side to side.Medial pterygoid muscle: It elevates the mandible and moves it from side to side.Ref: Morton D.A., Foreman K.B., Albertine K.H. (2011). Chapter 21. Infratemporal Fossa. In D.A. Morton, K.B. Foreman, K.H. Albertine (Eds), The Big Picture: Gross Anatomy.